A 17-year-old with schizophrenia recently started on antipsychotics is brought to casualty with neck rigidity. He has
1. Dystonia
2. Catatonia
3. Neuroleptic malignant syndrome
4. Tardive dyskinesia

Correct answer: 1. Dystonia

Explanation: * <48 hours of starting antipsychotics * M.C in======Younger black males * If a patient develops dystonia he is more prone for eps Patient considers this as an Allergic reaction , thereby may stop drugs Layryngeal dystonia is a Psychiatric emergency, should be treated with IV lorazepam TREATMENT * Diphenhydramine * Benztropine mesylate * Prophylactic anticholinergics helps Ref.Kaplon and sadock, synopsis of psychiatry, 11 th edition, pg no. 923